Antidote of heparin is
1. CaNaEDTA
2. Protamine sulfate
3. Deferiprone
4. d - penicillamine

Correct answer: 2. Protamine sulfate

Explanation: Ans. is 'b' i.e., Protamine sulfate Protamine sulfate* It is a strongly basic, low molecular weight protein obtained from the sperm of certain fish.* Given i. v. it neutralizes heparin weight for weight, i.e., 1 mg is needed for every 100 U of heparin.* It is needed only when the heparin action needs to be terminated rapidly, e.g., after cardiac or vascular surgery.* In absence of heparin, protamine itself acts as a weak anticoagulant by interacting with platelets and fibrinogen.